Treatment of choice for other eye in angle closure glaucoma is
1. Laser trabeculoplasty
2. Trabeculectomy
3. Laser iridotomy
4. Peripheral iridectomy

Correct answer: 3. Laser iridotomy

Explanation: C i.e. Laser iridotomy In acute congestive glucoma stage of primary angle closure glucoma the fellow eye require prophylactic peripheral iridotomy or surgical iridectomy Q (as PACG is usually a B/L disease and the fellow eye is in latent, subacute or intermittent stage).